Which of the following is best drug for cerebroprotective?
1. Thiopentone
2. Propofol
3. Ketamine
4. Etomidate

Correct answer: 1. Thiopentone

Explanation: All intravenous anaesthetic agent causes a decrease in cerebral oxygen consumption thus are cerebroprotective. Thiopentone decrease upto 50% of decline in CMRO2. Because the decrease in systemic arterial pressure is usually less than the reduction in ICP, thiopentone should improve cerebral perfusion and compliance.